True about acid injury to eye are all except?
1. makes a barrier and prevent deeper penetration
2. more destructive than alkali injuries
3. steroids are used to control inflammation
4. glaucoma is most preventable complication following acid injury

Correct answer: 2. more destructive than alkali injuries

Explanation: Chemical injuries of the eye may be divided into 2 types 1. Acid injuries (Burns)- less destructive--> coagulate and precipitate proteins--> create a barrier and prevent further penetration (Except- Hydrofluoric acid--> fluoride ions penetrate into deep tissues --> more damage) Ground glass apparance 2. Alkali injuries- severe, they are lipophilic--> saponification of memebrane lipids--> tissues undergo liquefactive necrosis + release of proteolytic enzymes--> damage Mx - Immediate Irrigation with normal saline (even water if normal saline not available) for minimum 30 mins, pH of conjunctiva must be 7-7.2. Chemical debris can be removed by double eversion Rx- Topical antibiotics (Grade I-III injuries- erythromycin /Grade IV- moxi/gatifloxacin) Cycloplegics (atropine/homatropine) Topical steroids (prednisolone acteate - 10days, tapered by 14 days based on clinical response) Doxycyline (-) MMP Antiglaucoma drugs to avoid secondary glaucoma Vitamin C Tear supplements Other Mx options - Autologous serum, Amniotic membrane transplantation (AMT), mucous membrane graft, Conjunctival flaps